Umbilical cord attached to the margin of placenta:
1. Circumvallate placenta
2. Battledore placenta
3. Velamentous insertion
4. Vasa previa

Correct answer: 2. Battledore placenta

Explanation: Ans. (b) Battledore placentaRef. William's Obstetrics 23rd ed. Ch: 27* Normally, the cord usually is inserted at or near the center of the fetal surface of the placenta.* Cord insertion at the placental margin is sometimes referred to as a Battledore placenta. It is found in about 7% of term placentas.* Velamentous insertion: This type of insertion is of considerable clinical importance. The umbilical vessels spread within the membranes at a distance from the placental margin, which they reach surrounded only by a fold of amnion. As a result, vessels are vulnerable to compression, which may lead to fetal anoxia. Incidence: 1%